What is the Child-Pugh class for patient who has a serum bilirubin of 2.5 mg/dl, Serum albumin of 3 g/dl, INR of 2 along with Mild ascites but no encephalopathy?
1. CP class A
2. CP class B
3. CP class C
4. CP class D

Correct answer: 2. CP class B

Explanation: Points 1 point each 2 points each 3 points each Bilirubin (mmol/L <34 34-50 >50 Albumin (g/L) >35 25-35 <25 Ascites None Easily controlled Poorly controlled Encephalopathy None GR I-II Gr III-IV INR <1.7 1.7-2.2 >2.2 CTP A= 5-6 points, CTP B= 7-9 points, CTP C= 10-15 points